Dysphagia lusoria is a condition which results from
1. Oesophageal atresia
2. Aberrent right subclavian artery
3. Oesophageal web
4. Corrosive stricture

Correct answer: 2. Aberrent right subclavian artery

Explanation: Dysphagia lusoria: It is a congenital vascular anomaly of the aortic root. Aortic arch anomalies are - double arch (40%), right arch and left ligamentum arteriosum (25%), anomalous innominate or common carotid artery or aberrant right subclavian artery (10%). It is due to the disappearance of proximal right 4th aortic arch instead of a distal portion. All patients having this anomaly (dysphagia lusoria) have got an aberrant right subclavian artery in a transposed position arising from descending aorta that courses posterior to the oesophagus. there will be a complete vascular ring around trachea and oesophagus. It is categorised based on their specific subclavian anomaly - depends on the presence of an aneurysm, occlusive disease.Commonly they are asymptomatic. Presentations may be dysphagia, chest pain, stridor, wheeze, recurrent respiratory infection (usually presents after the age of 40). Investigations: CT chest, MRI, chest X-ray, barium swallow (T4 level diagonal impression) and endoscopy (Shows pulsating extraluminal compressive mass). Treatment is reconstruction or ligation of an aberrant right subclavian artery by sternotomy/by neck approach.) Ref: SRB's manual of surgery,3 rd ed, pg no 736